True statement about 'total fertility rate' is
1. Indicates approximate magnitude of completed family size
2. Numerator is 'women of child bearing age'
3. Numerator is 'all live births'
4. Numerator is 'married women of child bearing age'

Correct answer: 1. Indicates approximate magnitude of completed family size

Explanation: Total fertility rate represents the average number of children a woman would have if she were to pass through her reproductive years bearing children at the same rates as the women now in each age group It gives the appropriate magnitude of completed family size Reference : Park's textbook of preventive and social medicine, 23rd edition, Page no:489